Strength of sewage is -
1. E. Coli count
2. Suspended solids
3. Nitrate
4. Coliform count

Correct answer: 2. Suspended solids

Explanation: Sewage is waste water from community,containing solid and liquid excreta derived from houses ,street, yards. The strength of sewage is indicated by A)biochemical oxygen demand B)chemical oxygen demand C)suspended solids Amount of suspended solids in domestic sewage varies from 100 -500 p.p.m.(mg/L) If the amount is 100 mg/L- weak If amount is 500 mg/L- strong. Parks textbook of preventive and social medicine.K Park. Edition 23.Pg no: 763